Fracture shaft of humerus causes damage to?
1. Median nerve
2. Ulnar nerve
3. Axillary nerve
4. Radial nerve

Correct answer: 4. Radial nerve

Explanation: ANSWER: (D) Radial nerveREF: Keith and Moore's anatomy 4th ed p. 761Radial nerve injury is commonly associated with:Fracture shaft of humerusSaturday night palsyInjection palsy